Treatment of choice of prophylaxis of Left eye in a case of Acute Angle Closure glaucoma of right eye
1. Laser Trabeculoplasty
2. Trabeculectomy
3. Laser Iridotomy
4. Seton surgery

Correct answer: 3. Laser Iridotomy

Explanation: Treatment of choice of prophylaxis of healthy eye when fellow eye has Acute Angle Closure glaucoma is Laser Iridotomy or surgical peripheral Iridotomy.